Community diagnosis means
1. Quantifying and summarizing the important health problems and their associated sociodemographic characteristic in a community
2. Priority - wise listing of the common diseases seen in a community
3. Summarizing the standards of living lifestyle factors in a community
4. None of the above

Correct answer: 1. Quantifying and summarizing the important health problems and their associated sociodemographic characteristic in a community

Explanation: Community diagnosis refers to identification and quantification of health problems in a community in terms of mortality and morbidity rates and ratios, and identification of their correlates for the purpose of defining those individuals or groups at risk or those in need of healthcare.Park 23e pg: 91